Jaffe's syndrome is:
1. Fibrous dysplasia.
2. Fibrous dysplasia + cafe au lait spots.
3. Fibrous dysplasia + cafe au lait spots + endocrinal abnormalities.
4. None.

Correct answer: 2. Fibrous dysplasia + cafe au lait spots.